A 9-year-old female child with history of head ache and visual disturbance. What could be your possible diagnosis:
1. Pituitary macroadenoma
2. Rathke's cleft cyst
3. Craniopharyngioma
4. Hypothalamichamartoma

Correct answer: 3. Craniopharyngioma

Explanation: Ans. C CraniopharyngiomaA calcified, solid-cystic, mass in the suprasellar region in a child - is Craniopharyngioma unless proven otherwise!! It is a clincher. Visual loss is due to mass effect on optic chaisma. Arises from Rathke's pouch epitheliumQ.